Antoni A and Antoni B areas and verocay bodies are characteristic of _____
1. Schwannoma
2. Astrocytoma
3. Medulloblastoma
4. Glioma

Correct answer: 1. Schwannoma